Prismless enamel is
1. Absent over cusp tips
2. Found in 70% of the permanent teeth.
3. 25-30 micrometer thick
4. All of the above.

Correct answer: 4. All of the above.